Nicotinic receptor sites include all of the following except
1. Bronchial smooth muscle
2. Adrenal medulla
3. Skeletal muscle
4. Sympathetic ganglia

Correct answer: 1. Bronchial smooth muscle

Explanation: Refer kDT 7/e p 102 Nicotinic receptors are found in: The somatic nervous system (neuromuscular junctions in skeletal muscles). The sympathetic and parasympathetic nervous system (autonomic ganglia